Drug of choice for strongyloides stercoralis?
1. Mebendazole
2. Albendazole
3. Ivermectin
4. Levamisole

Correct answer: 3. Ivermectin

Explanation: Ans. C. IvermectinRef: K.D,T, Thle p, 850i Katzung 13th/e p. 909; Satoskar Pharma 24'e p. 816; Rang and Dale |th/e p. 573Strongyloid - IvermectinAnaerobes - MetronidazoleAtypical Pneumonia (mycoplasma) - ErythromycinCholera - DoxycyclineStaphylococci - PenicillinVRSA - LinezolidP. Carinii (jiroveci) - CotrimoxazolePseudomonas -Antipseudomonal beta-lactam + aminoglycosideStreptococcus - PenicillinToxoplasma - CotrimoxazoleToxoplasma in pregnancy Spiramycin.Rheumatic fever - Benzathine penicillinTB - INH with or without rifamPicinRickettsia - TetracYclinesInfluenza A and B - OsetamivirDiphtheria - Penicillin / ErythromycinAnthraxCiprofloxacin / Doxycycline + Pertussis - ErYthromYcinHSV - AcYclovirLePtosPirosisMilder - Oral amoxicillinSevere - Iv Penicillin GLyme's disease - DoxycYclineSyphilis - Penicillin GPertussis - ErYthromYcinActinomycosis - Penicillin GLymphogranuloma venereum - Azithromycin or DoxycyclineLegionella - Azithromycin or levofloxacinPlague - StrePtomYcinListeria - Ampicillin + GentamicinMAC - Azithromycin / clarithromycinGroup B - streptococcus - AmpicillinUTI - CotrimoxazoleEndocarditis - Amoxicillin / ClindamycinBabesiosis - Quinine + ClindamycinP vivax - ChloroquineChloroquine resistant P vivax - Artemisinin combination therapy (ACT)